Which is true about Sex hormone-binding globulin (SHBG):
1. Binds testosterone with a higher affinity than estradiol
2. Reduces the total amount of circulating testosterone
3. Decreases the half-life of testosterone
4. Stimulates the secretion of inhibin

Correct answer: 1. Binds testosterone with a higher affinity than estradiol

Explanation: And. A. Binds testosterone with a higher affinity than estradiolSex hormone-binding globulin binds to both testosterone and estradiol, but it binds with higher affinity to testosterone. The bioactivity of testosterone is reduced by SHBG because testosterone cannot bind to its receptor when bound by SHBG. SHBG increases the circulating half-life of testosterone by slowing the clearance and metabolism of testosterone. SHBG does not alter the secretion of inhibin or androgen-binding protein, area